Damage to which Brodmann area is responsible for motor aphasia
1. 22
2. 39
3. 40
4. 44

Correct answer: 4. 44

Explanation: Motor aphasia is due to lesion in Broca's area which belong to Brodmann's area 44, (inferior frontal gyrus).